All of the following develops from surface ectoderm except
1. Lens
2. Lacrimal gland
3. Epithelial lining of iris
4. Epithelial liming of conjunction

Correct answer: 3. Epithelial lining of iris

Explanation: Epithelial liming of iris develops from Neuroectoedrm.